Which of the following antimalarial drug cause neruopsychiatric reactions and convulsions?
1. Halofantrine
2. Lumefantrine
3. Artemisinin derivatives
4. Mefloquine

Correct answer: 4. Mefloquine

Explanation: Neuropsychiatric reactions, convulsions and encephalopathy are the major side effects of mefloquine. Halofantrine is associated with cardiac conduction defects and and aretmesinin derivatves occassionally cause anaphylaxis. Lumefantrine is usually well tolerated. Ref: Harrisons principles of internal medicine, 18th edition, Page: 1700